A solitary bone cyst is most common in the -
1. Upper end of humerus
2. Lower end of humerus
3. Upper end of fibula
4. Lower end of femur

Correct answer: 1. Upper end of humerus

Explanation: Simple bone cysts commonly occurs at metaphysis of long bones.
Most common site is proximal humerus (55%), followed by proximal femur (26%).